Commonest cause of blood discharge from the nipple is
1. Duct carcinoma
2. Duct papilloma
3. Chronic cystic mastitis
4. Cystosarcoma phyllodes

Correct answer: 2. Duct papilloma

Explanation: Duct papilloma is the Commonest cause of blood discharge from the nipple Duct papilloma are epithelium lined true polyps of breast lactiferous ducts it is usually single,from a single lactiferous duct it blocks the duct causing ductal dialatation ref ;(page no;528) 5th edition of SRB'S Manual of SURGERY